DOC for Levodopa induced vomiting is?
1. Metoclopramide
2. Ondansetron
3. Doxylamine
4. Domperidone

Correct answer: 4. Domperidone

Explanation: Domperidone crosses blood brain barrier poorly. The anti-emetic action is exerted mainly through CTZ which is not protected by blood brain barrier. Because of poor entry into CNS, it does not block the therapeutic effect of Levodopa in Parkinsonism, but counteracts its dose limiting emetic action. It is a D2 receptor antagonist, chemically related to haloperidol, but pharmacologically related to Metoclopramide.